For the following dyslipidemias, select the most characteristic finding.Type III hyperlipoproteinemia.
1. palmar plane xanthomas
2. triglycerides > 1000
3. subcutaneous extensor tendon xanthomas
4. low serum cholesterol

Correct answer: 1. palmar plane xanthomas

Explanation: In the rare familial form, raised yellow plaques appear on palms and fingers, and reddish-yellow xanthomas occur on the elbows. This disorder is felt to be secondary to accumulation of abnormal chylomicron and very low-density lipoprotein (VLDL) remnants. It is probably due to inherited homozygous defects in Apo E-II structure.